Deficiency of vitamin C causes the following except
1. Defective collagen synthesis
2. Soft swollen gums
3. Pigeon chest
4. Subcutaneous & other hemorrhage

Correct answer: 3. Pigeon chest